A female presented with a history of episodes of altered sensorium, involuntary movements, memory deficits and headache since the last 6 months. 4 episodes occurred during the day and 2 during sleep. She has been married since 1 year. Most likely diagnosis is-
1. Epilepsy
2. Somatization disorder
3. Somatoform disorder
4. Hypochondriasis

Correct answer: 1. Epilepsy

Explanation: This patient has


Abnormal movements
Amnesia (memory deficit)
Episode during sleep

Amongst the given options, only epilepsy can present with a seizure during sleep. Other three options will not present as a seizure during sleep